Cause of oligohydramnios is:
1. Oesophageal atresia
2. Duodenal atresia
3. Rena! agenesis
4. Diabetes

Correct answer: 3. Rena! agenesis

Explanation: Rena! agenesis